Which of the following drugs is both effective and safe to use in a pregnant patient suffering from bipolar disorder ?
1. Carbamazepine
2. Lithium
3. Olanzapine
4. Valproic acid

Correct answer: 3. Olanzapine